'Honey colored' crusts are characteristic of :
1. Nummular eczema
2. Impetigo
3. Herpes zoster
4. Cutaneous diptheria

Correct answer: 2. Impetigo

Explanation: B i.e. Impetigo